Dermatophytosis is caused by
1. Herpes simplex
2. Papilloma virus
3. Trichophyton
4. Candida

Correct answer: 3. Trichophyton

Explanation: Dermatophytosis is caused by Microsporum, Trichophyton and Epidermophyton. Candida causes candidiasis. Reference: Textbook of Microbiology; Baveja; 4th edition .